Prostaglandin was discovered from -
1. Tear
2. Saliva
3. Seminal fluid
4. Blood

Correct answer: 3. Seminal fluid

Explanation: Ans. is 'c' i.e.. Seminal fluid "The name prostaglandin comes from the prostate gland. When prostaglandin was first isolated from seminal fluid, it was believed to have been added from the prostate. "